Muscle rigidity due to opioids is because of their effect on:
1. Mu receptors
2. Kappa receptors
3. Sigma receptors
4. Delta receptors

Correct answer: 1. Mu receptors

Explanation: Ans. a. Mu receptors Muscle rigidity due to opioids is because of their effect on Mu receptors."All opioids green in high doses may cause muscular rigidity. It is most likely related to mu receptors in the caudate nucleus. It is more commonly seen with fentanyl. Anesthesia Review by Mitchelle Bowman Howard/134Actions Ascribed to Opioid Receptorsm (mu)k (kappa)d (delta)* Physical dependence (morphine type)* Miosis* Constipation (m2)* Analgesia (supraspinalml + spinal m2)* Respiratory depression (m2)* Euphoria* Sedation* {PM CARES)* Dysphoria, pscychomimetic* Miosis (lower ceiling)* Analgesia (Spinal k1, supraspinal k3)* Respiratory depression (lower ceiling)* Diuresis* Sedation* Physical dependence (nalorphine type)* Reduced Gl motility* (DMARDS)* Analgesia (Spinal + affective component of supraspinal)* Respiratory depression* Affective behavior* Reinforcing actions* Reduced GI motility